Cardiac anomaly seen in Noonan's syndrome is
1. VSD
2. ASD
3. Pulmonary stenosis
4. Coarctation of aorta

Correct answer: 3. Pulmonary stenosis

Explanation: Pulmonary stenosis and hypertrophic cardiomyopathy are generally the most common congenital heart defects found in Noonan syndrome. Pulmonary stenosis is often associated with a thickened and dysplastic valve Ref Robbins 9/e pg .532